Pawlik harness is used in
1. Perthe's disease
2. Coxa valgum
3. Developmental dysplasia of hip
4. Slipped capital femoral epiphysis

Correct answer: 3. Developmental dysplasia of hip